The chestnut coloured fungal cells known as muriform bodies are seen in:
1. Sporotrichosis
2. Phaeohyphomycosis
3. Chromoblastomycosis
4. Lobomycosis

Correct answer: 3. Chromoblastomycosis

Explanation: Muriform cells are also called chromo/medlar/copper penny/ sclerotic bodies. They are chestnut/golden brown colored fungal cells found mainly in giant cells in infiltrate of chromoblastomycosis. Ref: Rook's Textbook of Dermatology, 8th Edition, Page 36.75.